Chyluria is due to
1. Filaria
2. Carcinoma
3. Tuberculosis
4. Malaria

Correct answer: 1. Filaria

Explanation: Chyluria is described as the passage of milky appearing white urine due to the presence of chyle composed of albumin, emulsified fats and fibrins in varying proportion that are absorbed by intestinal lacieals. 

Chvluria is associated with filariasis :- 

Chronic filaria can lead to renal involvement:- Chyluria is associated with abnormal retrograde or lateral flow of lymph from intestinal lymphatics of the kidney ureter or bladder allowing chylous material to be discharged into urinary collecting system.
Intestinal lymph may be intermittently discharged into the renal pelvis, causing lymph fluid to pass into the urine.
This is known as chyluria and it results in milky appearance of the urine
Since large amounts of fat and protein can be lost in the urine in individuals with chyluria this condition can lead to nutritional deficiencies including anemia and hvpoproteinemia.